Waldenstrom's macroglobulinemia is characterized by all except
1. IgE sereting clone of plasma cells
2. Hyperviseosity symptoms
3. Hepatosplenomegaly
4. Lymphadenopathy

Correct answer: 1. IgE sereting clone of plasma cells

Explanation: Waldenstrom macroglobulinaemia is a low grade lymphoplasmacytoid lymphoma associated with an Ig M paraprotein, causing clinical featurws of hyperviscosity syndrome.Other features include anemia,splenomegaly & lymphadenopathy. Reference:Davidson's principles &practice of medicine 22nd edition pg no 1045.